Advantage of brachytherapy – a) Non-invasiveb) Less radiation hazard to normal tissuec) Max.radiation to diseased tissued) Can be given in all malignanciese) Doesn't require trained personnel
1. a
2. c
3. ac
4. bc

Correct answer: 4. bc

Explanation: As the radiotherapy source is placed directly in contact with tumor, maximum radiation exposure occurs to tumor tissue with relative sparing of adjacent normal tissue.
Brachytherapy is invasive and requires trained personnel.
Brachytherapy can be used in most (not all) of the malignancies where radiotherapy is the component of treatment.